In tight contacts, the best rubber dam material type is:
1. Thin
2. Medium
3. Heavy
4. Extra Heavy

Correct answer: 1. Thin

Explanation: The thinner material has the advantage of passing through the contacts easier, which is particularly helpful when contacts are tight.